35-year-old c/o fever, severe abdominal pain in epigastrium radiating to the back with a h/o binge drinking. Pulse is 120 bpm, BP is 90/60 mm Hg. CT Abdomen (P+C) was done. Most likely diagnosis is
1. Peptic ulcer
2. Acute pancreatitis
3. Chronic calcific pancreatitis
4. Acute cholecystitis

Correct answer: 2. Acute pancreatitis

Explanation: Ans. B Acute pancreatitisObserve a bulky pancreas with fuzzy margins and adjacent fat stranding - s/o Acute pancreatitis. CE-CT scan is IOC. Balthazar grading systemQ and CT Severity Index (CTSI)Q are used for prognosis.